Renal angiomyolipoma is associated with:
1. Tuberous sclerosis
2. Neurofibromatosis 1
3. Neurofibromatosis 2
4. All of the above

Correct answer: 1. Tuberous sclerosis

Explanation: Angiomyolipomas are present in 25% to 50% of patients with tuberous sclerosis, a disease caused by loss-of-function mutations in the TSC1 or TSC2 tumor suppressor genes. This is a benign tumor consisting of vessels, smooth muscle, and fat. It is characterized by lesions of the cerebral cortex that produce epilepsy and intellectual disability, a variety of skin abnormalities, and unusual benign tumors at other sites, such as the heart. Ref: Robbins 8th edition Chapter 20.